Warthin- Finkeldey giant cells are seen in
1. Influenza
2. Mumps
3. Pneumonia
4. Rubeola

Correct answer: 4. Rubeola

Explanation: (Rubeola) (518-A7th)MEASLES (RUBEOLA) - Multinucleate giant cells (Warthin- Finkeldey cells) are also found in the lymphoid tissues of patientsVon Magnus - Phenomenon - due to the formation of incomplete virus particles lacking nucleic acid- seen in Influenza virus